Akathesia is characterized by -
1. Restlessness, persistent desire to move about, and fidgety & rocking movement.
2. Tongue protrusion, stiffness and abnormal posture of trunk and limbs
3. Purposeless involuntary facial and limb movements
4. Perioral tremor.

Correct answer: 1. Restlessness, persistent desire to move about, and fidgety & rocking movement.

Explanation: Ans. is 'a' i.e. Restlessness, persistant desire to move about, and fidgety & rocking movement o Akathisia is characterized by restlessness, inability to sit/stand quietly, persistant desire to move about, and fidgety & rocking movement.o Tongue protrusion, stiffness, oculogyric crisis and abnormal posture of trunk and limbs suggest the diagnosis of acute muscular dystonia.o Purposeless involuntary facial and limb movements, constant chewing and puffing of checks suggest the diagnosis of tardive dyskinesia.o Perioral tremors are known as Rabbit syndrome.